Collection of urine sample of a patient of TB/kidney is done -
1. 24 hrs urine
2. 12 hrs urine
3. in early morning
4. Any time

Correct answer: 3. in early morning